Rosette shaped catraract is seen in
1. Infection
2. Diabetes
3. Syphilis
4. Trauma

Correct answer: 4. Trauma

Explanation: Rosette cataract is most typical form of concussion cataract.